The drug NOT used in prostatic carcinoma :
1. Finasteride
2. Diethyl stilbestrol
3. Testosterone
4. Flutamide

Correct answer: 3. Testosterone

Explanation: Ans. is 'c' Testosterone Medical management of Testicular CaThe aim is to reduce the testosterone level or its effect producing chemical castrationThe drugs areGnRH analogue* (leuprolide acetate*)Initially it produces a rise in LH and FSH which increases testosterone level initially but after sometimes due to down regulation of receptors on pituitary LH & FSH decrease there by decreasing TestosteroneAntiandrogen (Flutamide)*Estrogen (Diethylstilbestrol)*Finasteride*prevents the conversion of testosterone to its active component. It is a 5 alpha reductase inhibitor*Second line t/tKetoconazole*Aminoglutethimide*